How many days took to form 1mm layer of enamel:
1. 90 days.
2. 140 days.
3. 240 days.
4. 180 days.

Correct answer: 3. 240 days.

Explanation: Mean of daily rate of enamel formation – 3.5µm/day to 4µm/day
So to form 1mm thickness total approximately 240 days needed.